Psoriasis has the following features except
1. Munro abscesses in the parakeratotic layer
2. Prominent granular cell layer
3. Acanthosis with thickened lower portion
4. Suprapapillary thinning of  epidermis

Correct answer: 2. Prominent granular cell layer

Explanation: Granular cell layer is thinned or almost absent.